Herbert's pits are seen in -
1. Trachoma
2. Phlyctenular conjunctivitis
3. Sarcoidosis
4. Molluscum contagiosum

Correct answer: 1. Trachoma

Explanation: Herbert pits are the oval or circular pitted scar, left after healing of herbert follicles in the limbal area. Ref: Parson's 22nd/e p.173 & 21st/e p.173